Most metabolically active layer of Cornea is
1. Descement membrane
2. Endothelium
3. Connective tissue stroma
4. Epithelium

Correct answer: 2. Endothelium

Explanation: Most metabolically active layer of Cornea is Endothelium.